Twin peak sign seen in :
1. Monochorionic diamniotic
2. Dichorionic monoamniotic
3. Conjoined twins
4. Diamniotic dichorionic

Correct answer: 4. Diamniotic dichorionic

Explanation: Ans. is d i.e. Diamniotic dichorionic